All are causes of hyperprolactinemia, except
1. Bromocriptine
2. Phenothiazine
3. Methyldopa
4. Metoclopramide

Correct answer: 1. Bromocriptine

Explanation: Answer is A (Bromocriptine): Bromocriptine is a potent dopamine agonist. It decreases prolactin release from pituitary by activating inhibitory dopaminergic receptors on lactotrope cells, a strong anti-galactopoietics action. All others are known to cause increased Prolactin.